In the radiographic assessment of periodontal disease, information cannot be obtained is
1. crown - root ratio
2. faulty restoration
3. Approximate bone height
4. Morphology of bone deformities

Correct answer: 4. Morphology of bone deformities